Ankle sprain due to forced inversion of a plantar Hexed foot is due to injury to:
1. Anterior talofibular ligament
2. Posterior talofibular ligament
3. Calcaneofibular ligament
4. Posterior fibres of deltoid

Correct answer: 1. Anterior talofibular ligament

Explanation: Ans. a. Anterior talofibular ligament (Ref: Apley 8/e p733-736; Ockwood and Green's Fracture in Adults 6/e p2152-2153)Over 90% of ankle ligament injuries (twisted ankle or ankle sprain) involve the lateral ligament complex, usually the anterior tibiofibular ligament.Ankle LigamentsMedial Collateral LigamentLateral Collateral Ligament* Also known as deltoid ligamentQ* It is a strong ligament and major stabilizer of the ankle jointQ.* Two components:- Superficial: Resist eversion of hind footQ (Talo-tibial, naviculo- tibial, calcanio-tibial)- Deep (Intra-articular): Prevents external rotation of talus (Anterior and posterior talotibial)Q* It is a weak ligament, so involved in over 90% of ankle ligament injuriesQ* It has three parts:- Anterior talofibular: MC injuredQ- Middle calcaneofibular: 2nd MC injuredQ- Posterior talofibular: Torn in most severe injuries